All are tests done on blood, except:
1. Acid phosphatase test
2. Benzidine test
3. Hemochromogen test
4. Teichmann's test

Correct answer: 1. Acid phosphatase test

Explanation: Ans. Acid phosphatase test